Halban's disease is due to :
1. Persistent corpus luteum
2. Deficient corpus luteum
3. Persistent trophoblast
4. Deficient trophoblast

Correct answer: 1. Persistent corpus luteum

Explanation: Irregular Endometrial Shedding (Halban's Disease) It is rare and self-limited Irregular shedding is due to persistent corpus luteum The menstruation comes on time, is prolonged but not heavy Progestogen can suppress the bleeding, but needs to be taken on tapering dose for 20 days to complete the cycle Reference: Shaw's textbook of Gynaecology; 16th edition; Page 307